False statement regarding fibroadenoma:
1. Painless
2. Unilateral
3. Responds well to hormone
4. Firm

Correct answer: 3. Responds well to hormone

Explanation: Ans. C: Responds well to hormone